Most common cause of Lymphedema :
1. Filariasis
2. Lymph node dissection in malignancies
3. Bacterial infection
4. Congenital

Correct answer: 1. Filariasis

Explanation: lymphedema Primary Lymphedema Secondary Lymphedema Occur in 1 of every 1000 individuals At birth, 1 in 6000 persons will develop lymphoedema with an overall prevalence of 0.13-2%. Arise from congenital malformations such as lymphatics More common Filariasis in MC cause worldwide In western countries: Result of neoplasms and their surgical treatments and radiotherapy